CSF otorrhoea is caused by
1. Fracture of cribriform plate
2. Fractureof parietal bone
3. Fractureof petrous temporal bone
4. Fracture of tympanic membrane

Correct answer: 3. Fractureof petrous temporal bone

Explanation: Ans is 'c' ie Fracture of petrous temporal boneC.S.F. otorrhea is seen in fracture (longitudinale) of temporal bone C.S.F. is seen in external and middle ears T/T -It usually ceases spontaneously surgical intervention is rarely needed. Antibiotics (Co-trimoxazole) is given as it us sensitive to bacter ious causing URTI and it can cross blood brain barrier.